Number of milk teeth -
1. 16
2. 12
3. 20
4. 8

Correct answer: 3. 20

Explanation: Temporary, deciduous or milky teeth are 20 in number, 4 incisors, 2 canines and 4 molars in each jaw. ref : Dr. Narayana Reddys Synopsis of Forensic Medicine & Toxicology 27th edition pg.35.